Sinus not present at birth is:
1. Ethmoid
2. Maxillary
3. Frontal
4. None

Correct answer: 3. Frontal

Explanation: (c) Frontal(Ref. Cummings, 6th ed., 2874; Scott Brown, 8th ed., Vol 2, page 262)This is the last sinus to develop. It is not present at birth.